All of the following are seen in active chronic hepatitis B except -
1. IgM against core antigen
2. Total core antibody
3. HbeAg
4. HbsAg

Correct answer: 1. IgM against core antigen

Explanation: Hepatitis B core antigen Hepatitis B core antigen (HBcAg) is not found in the blood, but antibody to it (anti-HBc) appears early in the illness and rapidly reaches a high titre, which subsides gradually but then persists. Anti-HBc is initially of IgM type, with IgG antibody appearing later. Anti-HBc (IgM) can sometimes reveal an acute HBV infection when the HBsAg has disappeared and before anti-HBs has developed . Ref Davidson edition23rd pg874